Which of the following anti neoplastic drug causes hepatotoxicity:
1. 6- mercaptopurine
2. 5- flurouracil
3. Doxorubicin
4. Etoposide

Correct answer: 1. 6- mercaptopurine

Explanation: Ans. (a) 6- mercaptopurineRef.: KDT 6th ed. / 820* 6 mercaptopurine (6-MP) is a purine analogue which is metabolized by xanthine oxidase* It is a competitive inhibitor of DNA.* Allopurinol is NOT given along with 6-MP because allopurinol inhibits xanthine oxidase enzyme, which leads to increased toxicity due to accumulation of xanthine.Anti-Neoplastic DrugsTheir Side EffectCyclophosphamide, ifosphamideHemorrhagic cystitisProcarbazineDisulfiram like reactionBleomycin, busulfanPulmonary fibrosisVincristine, vinblastinePeripheral neuropathyCisplatinOtotoxicity, Nephrotoxicity6Mercaptopurine, 6ThioguanineHepatotoxicityDoxorubicin, DaunorubicinCardiotoxic